Anti-HIV drug combination that should not be used
1. Zidovudine + Stavudine
2. Atazanavir + Indinavir.
3. Didanosine/stavudine + Zalcitabine
4. All of the above.

Correct answer: 4. All of the above.

Explanation: Anti-HIV drug combinations that should NOT be used are:

Zidovudine + Stavudine: Pharmacological antagonism (compete for intracellular phosphorylation)
Atazanavir + Indinavir: Additive unconjugated hyperbilirubinemia.
Didanosine/stavudine + Zalcitabine: Additive peripheral neuropathy.
Lamivudine + Zalcitabine: In vitro antagonism.